Kleinfilter syndrome is dignosed by -
1. Karvo typing
2. USG abdomen
3. Triple test
4. Echocadiography

Correct answer: 1. Karvo typing

Explanation: Ans. is 'a' i.e., Karyo typing Klinefelter syndromeo Extra x chromosome (47 XXY) karyotypeo Small testes with hyalinised seminiferous tubuleso Delayed puberty# Delayed secondory sexual charactero Small peniso Tall & under weighto Intellectual disabilityo Gynaecomastia